Axillary Nerve Injury is least likely in:
1. Shoulder dislocation
2. Fracture proximal humerus
3. Intramuscular injection
4. Improper use of crutch

Correct answer: 4. Improper use of crutch

Explanation: AXILLARY NERVE INJURY (C5-C6) * Injured in fracture of surgical neck humerus, shoulder dislocation (anterior and inferior) and intramuscular injections. Improper use of crutches - radial nerve injury(crutch palsy) AXILLARY NERVE INJURY Motor symptoms Deltoid muscle palsy Loss of rounded contour of shoulder -flattened Shoulder Weakness of abduction (15deg-90deg) Teres minor palsy Sensory symptoms Lateral cutaneous nerve of arm Sensory loss over lower half of deltoid (regimental badge area).